The drug that is not useful in congestive heart failure is:
1. Adrenaline
2. Digoxin
3. Hydrochlorothiazide
4. Enalapril

Correct answer: 1. Adrenaline

Explanation: Ref:KDT 6/e p493,503-504 Medications Diuretic Increases urine production to get rid of excess salt and water. Beta blocker Slows heart rate and decreases blood pressure. When taken in eye-drop form, it reduces eye pressure. ACE inhibitor Relaxes blood vessels, lowers blood pressure and prevents diabetes-related kidney damage. Antihypertensive drug Lowers blood pressure. Dietary supplement Works alone or in conjunction with other treatments to promote health. Blood pressure support Helps increase blood pressure when it's too low. Vasodilator Widens blood vessels. Heart Medication Helps reduce chest pain or pressure caused by blockages in the arteries of the heart.